Characteristic feature of cells of collecting duct are
1. Pressure of brush border
2. Pressure of carbonic anhydrase in lumimal membrane
3. It has leaky tight junction
4. Para cellular transport not possible

Correct answer: 4. Para cellular transport not possible

Explanation: Features of collecting duct cells :

No brush border
No carbonic anhydrase in lumimal membrane
Has 'tight' tight junction
Para cellular transport not possible